A person on anti-tubercular drugs complained of deafness and tinnitus in one ear. Drug implicated is?
1. Streptomycin
2. Isoniazid
3. Ethambutol
4. Rifampicin

Correct answer: 1. Streptomycin

Explanation: ANSWER: (A) StreptomycinREF: KDT 7th ed p. 743Streptomycin causes nephrotoxicity and ototoxicity